Reliability means
1. Number of times the same results on repeated trials
2. Number of times variation is seen
3. Extent of accuracy
4. Level of simplicity

Correct answer: 1. Number of times the same results on repeated trials

Explanation: ref: Park's 23rd edition pg138 Reliability / repeatability / precision: that is test must give consistent results when repeated more than once on the same individual or material, under the same conditions. note: Validity or accuracy: given by sensitivity and specificity. Diagnostic power or Predictablity: includes positive and negative predictive values. in order to include or exclude the person.